Most common method of radiation dose delivery is:
1. Teletherapy
2. Electron beam
3. Brachytherapy
4. Radio immunotherapy

Correct answer: 1. Teletherapy

Explanation: Teletherapy REF: therapy, "External radiation therapy (also known as Teletherapy) is the most common kind of radiation therapy"